Which of the following organism is biggest ?
1. Balantidium coli
2. Entamoeba coli
3. Escherichia coli
4. Entamoeba histolytica

Correct answer: 1. Balantidium coli

Explanation: Ans. is 'a' i.e., Balantidium coli